Which of the following is the most beta-1 selective antagonist:-
1. Acebutolol
2. Atenolol
3. Metoprolol
4. Nevibolol

Correct answer: 4. Nevibolol

Explanation: Selective beta 1 antagonists: New -Nebivolol. ( Most selective beta 1 antagonist)Beta- BetaxololBlockers- BisoprololAct - AtenololExclusively- EsmololAt - AcebutololMyo - MetoprololCardium - Celiprolol